The factor/mechanism involved in glomerulotubular balance is:
1. signalling by macula densa cells
2. Oncotic pressure in peritubular capillaries
3. Contraction of the mesangial cells
4. Sluggish blood flow in medullary interstitium

Correct answer: 2. Oncotic pressure in peritubular capillaries

Explanation: G-T balance refers to the mechanism by which increase in GFR and filtration of Na+ proportionately increases the Na+ (and water) reabsorption. Thus, a constant fraction (67%) of the filtered Na+ and water is reabsorbed from PCT, despite fluctuations in GFR. Mechanism: ~ Increased GFR (and increased filtered load of Na+& water) a increased protein concentration in the glomerular capillary plasma (as the fluid has been filtered out of this plasma) Protein-rich plasma leaves the glomerular capillaries efferent arterioles and enters the peritubular capillaries Colloid Oncotic pressure will increase in peritubular capillaries a increased the solute and water reabsorption by the PCT. Options A & C are involved in tubuloglomerular feedback. Sluggish blood flow in medullary interstitium is the basis for countercurrent exchange by vasa recta.